Most Commonly done screening test for diagnosing Acute Pancreatitis
1. Serum amylase
2. Serum lipase
3. Serum trypsin
4. NBT PABA

Correct answer: 1. Serum amylase

Explanation: Ans. (a) Serum AmylaseRef: Bailey and Love 27th ed. pg. 1214* Most common used to diagnose Acute pancreatitis - Serum amylase (will be elevated for first 3 days and declines in 4-8 days)* Serum Lipase though more sensitive is not widely available.